Master cone is
1. First instrument using taking working length
2. Used by master of staff
3. Fully snug fit with accurate working length
4. Last fill to fit loosely

Correct answer: 3. Fully snug fit with accurate working length